Lateral sinus thrombosis is associated with all except:
1. Griesinger's sign
2. Gradenigo triad
3. Crowe-Beck sign
4. Tobey-Ayer test

Correct answer: 2. Gradenigo triad

Explanation: (b) Gradenigo triad(Ref. Cummings, 6th ed., 2165)Gradenigo triad is seen in association with abscess of petrous apex or petrositis. Rest all are seen in lateral sinus thrombosis.